All of the following statements regarding a child with hypernatremic dehydration are true Except
1. There is at least a 10 percent fluid deficit
2. Rapid rehydration is indicated
3. Muscle tone is increased
4. The sensorium fluctuates between lethargy and hyperirritability

Correct answer: 2. Rapid rehydration is indicated

Explanation: Signs of hypernatremic dehydration include dry rubbery skin, increased muscle tone, and altered level of consciousness. A hypernatremic child should be rehydrated slowly to avoid a rapid reexpansion of intracellular volume that could lead to cerebral edema. A good guide is to replace the fluid deficit over 48 to 72 h. Serum sodium should not be lowered more than 10 to 15 mEq/L over 24 h. Reference: GHAI Essential pediatrics, 8th edition, Nutrition Chapter